In cubital fossa, which structure is medial most
1. Median nerve
2. Brachial artery
3. Biceps tendon
4. Radial nerve

Correct answer: 1. Median nerve

Explanation: Median nerve. Cubital fossa -This area is clinically important for venepuncture and for blood pressure measurement. It is an imaginary triangle with borders being: * Laterally, the medial border of brachioradialis muscle * Medially, the lateral border of pronator teres muscle * Superiorly, the intercondylar line, an imaginary line between the two condyles of the humerus * The floor is the brachialis & supinator muscle * The roof is the skin and fascia of the arm and forearm - Contents of cubital fossa (lateral to medial) are: Radial nerve, Biceps tendon, Artery and Median nerve.